An unconscious pt. of head injury comes in casualty. Examination shows raised intracranial pressure. Which anesthetic agent is contra- indicated :
1. Propofol
2. Ketamine
3. Etomidate
4. Thiopentone sodium

Correct answer: 2. Ketamine

Explanation: Ans. is 'b' i.e. Ketamine Ketamine causes increase in all pressure of body fluids -Increased ICTIncreased IOTIncreased B.P.Therefore it is not used in raised ICT and IOT as it may increase the pressure to morbid levels.Other frequently asked questions about KetamineThe injection of a therapeutic dose of Ketamine produces dissociative anaesthesia*.Ketamine is a phencyclidine analogue, it produces Hallucinations*Ketamine produces profound analgesia*.Ketamine is used as anaesthetic where maintenance of blood pressure is important e.g.in states of shock*.